Methyl dopa acts on which of the following receptor?
1. α2
2. α1
3. β1
4. D1

Correct answer: 1. α2